Excitatory Neurotransmitter in CNS-
1. Acetyl choline
2. Glycine
3. GABA
4. Glutamate

Correct answer: 4. Glutamate

Explanation: Glutamate is the chief excitatory neurotransmitter in CNS.